Skin surface elevation caused by hyperplasia and projections of the epidermis form an undulating surface under microscopic examination. What is this known as?
1. Saw toothing
2. Papillomatosis
3. Villi
4. Parakeratosis

Correct answer: 2. Papillomatosis

Explanation: Papillomatosis of skin Skin surface elevation caused by hyperplasia and enlargement of contiguous dermal papillae. Papillary projections of the epidermis form an undulating surface under microscopic examination.